Trans-esophageal echocardiogram (TEE) is superior to trans-thoracic echocardiogram (TTE) because of
1. Convenient
2. Is more sensitive in picking up left ventricular apical thrombus
3. Is more sensitive in picking up atheromatous plaques in ascending thoracic aorta
4. TTE is more sensitive in picking up atrial appendage thrombus

Correct answer: 3. Is more sensitive in picking up atheromatous plaques in ascending thoracic aorta